Pulmonary Apoplexy is seen in -
1. Mitral Stenosis
2. Mitral Regurgitation
3. Aortic Stenosis
4. Aortic regurgitation

Correct answer: 1. Mitral Stenosis

Explanation: Answer- A. Mitral StenosisPulmonary apoplexy refers to sudden severe haemoptysis that may be seen in patieats with Mitral Stenosis from rupture of a bronchial vein.